Misoprostol, a prostaglandin analogue is useful as :
1. Uterine relaxant
2. Anti–ulcer
3. Bronchodilator
4. Vasodilator

Correct answer: 2. Anti–ulcer